Corneal endothelium is embryologically derived from the following structure:
1. Neural crest
2. Ectoderm
3. Mesoderm
4. Endoderm

Correct answer: 1. Neural crest

Explanation: Derivatives of neural crest in eye: Corneal stroma, keratocytes and endothelium Sclera Trabecular meshwork endothelium Iris stroma Ciliary muscles Choroidal stroma Part of the vitreous Uveal and conjunctival melanocytes Meningeal sheaths of the optic nerve Ciliary ganglion Orbital bones Orbital connective tissue Connective tissue sheath and muscular layer of the ocular and orbital vessels Ref: Parsons' Diseases of the Eye By Ramanjit Sihota & Radhika Tandon, 21st edition, Page 5.